Sarcoma Botryoides is also known as:
1. Embryonal rhabdomyosarcoma
2. Alveolar rhabdomyosarcoma
3. Leiomyosarcoma
4. Lipoblastomatosis

Correct answer: 1. Embryonal rhabdomyosarcoma

Explanation: Sarcoma Botryoides is a special variant of Embryonal rhabdomyosarcoma. Sarcoma botryoides is a variant of embryonal rhabdomyosarcoma that develops in the walls of hollow, mucosal-lined structures, such as the nasopharynx, common bile duct, bladder, and vagina. Where the tumors abut the mucosa of an organ, they form a submucosal zone of hypercellularity called the cambium layer.